Ochsner- Sherren regime is used in management of:
1. Appendicular abscess
2. Chronic appendicitis
3. Appendicular mass
4. Acute appendicitis

Correct answer: 3. Appendicular mass

Explanation: MANAGEMENT OF APPENDICULAR MASS If an appendix mass is present and the condition of the patient is satisfactory, the standard treatment is the conservative Ochsner-Sherren regimen. Surgery done during appendicular lump formation can lead to increased risk of injury of cecum. To know whether the lump is appendicular lump -CECT has to be done. Start IV antibiotics in all the patients If abscess present drain the abscess. Monitor pulse rate and temperature every 4 hourly Within 24-28 hours - most patients improve Continue the conservative management Perform Interval appendectomy (Not recommended in all patients) = only for patients experiencing Recurrent appendicitis